A 7 yr patient came to opd with nodule on conjunctiva. He has history of taking TB treatment in the past. The nodule with has now encroached the limbus. What is the possible diagnosis.
1. Trachoma
2. Vernal keratoconjunctivits
3. Phylectenular keratoconjunctivitis
4. Limbus stem cell deficiency

Correct answer: 3. Phylectenular keratoconjunctivitis

Explanation: The hints point towards phlyctenular keratoconjunctivitis Phlyctenular conjunctivitis * Nodular response of conjunctival epithelium to endogenous antigen * Organisms: TB, S. aureus (mc), M. axenfield * Age: 3-15 yr * Girls > Boys * Predisposition in Low Socioeconomic status, Unhygenic surroundings Pathophysiology * Stage of Nodule Formation * Ulceration * Granulation * Healing Types : Conjunctival Involvement * Simple * Necrotizing * Miliary Corneal Involvement * Ulcerative: Sacrofulaceous/ Fascicular/ Miliary * Diffuse infiltative Treatment * Topical steroids * Antibiotic ointment * Atropine (1%) in case of corneal involvement